Which of the following structure (s) pass through adductor magnus
1. Femoral vessel
2. Femoral nerve
3. Femoral sheath
4. Saphenous nerve

Correct answer: 1. Femoral vessel

Explanation: Ans. a. Femoral vesselFemoral artery pass through an opening in the adductor magnus to become continuous with the popliteal arteryFemoral vein enters the thigh by passing through an opening in the adductor magnus as a continuation of the popliteal vein